Salt and Pepper pot appearance of skull seen in:
1. Hyperparathyroidism
2. Multiple myeloma
3. Hyperthyroidism
4. Pseudo hyperparathyroidism

Correct answer: 1. Hyperparathyroidism

Explanation: * Pepperpot skull is occasionally used in place of salt and pepper skull to describe the typical radiographic appearance of multiple small radiolucent lesions of the skull vault. * In primary hyperparathyroidism, extensive resorption bone in the skull in combination with cystic areas of osteopenia are termed pepper pot skull. * Classically seen in hyperparathyroidism, and is occasionally used (inaccurately) to describe the raindrop skull of multiple myeloma REF : DAVID SUTTON 7 TH ED